Eradication of helicobacter pylori has been proved to be beneficial in which of the following disorders of the stomach -
1. Low grade malt lymphoma
2. Erosive gastritis
3. Carcinoma stomach
4. Gastroesophageal disease

Correct answer: 1. Low grade malt lymphoma